Major part of cardiac septa development is completed by day:
1. 25
2. 27
3. 35
4. 37

Correct answer: 4. 37

Explanation: The major septa of the heart are formed between the 27th and 37th days of development, when the embryo grows in length from 5 mm to approximately 16 to 17 mm. Ref: Langman's embryology 11th edition Chapter 12.